Barium swallow is used for
1. Esophagus
2. Colon
3. Duodenum
4. Jejunum

Correct answer: 1. Esophagus

Explanation: The esophagus is a muscular tube connecting the throat (pharynx) with the stomach.
The esophagus is about 8 inches long and is lined by moist pink tissue called mucosa.
The esophagus runs behind the windpipe (trachea) and heart, and in front of the spine.